Refeeding Syndrome - Lab values to be monitored are all except
1. Calcium
2. Magnesium
3. Phosphate
4. Ammonium

Correct answer: 4. Ammonium

Explanation: Ans. (d) AmmoniumRef: Bailey and Love 27th edition Page 288, Surgery Sixer 3rd Edition Page 6Refeeding Syndrome* Characterized by severe fluid and electrolyte shifts in malnourished patients undergoing refeeding.* It can occur with Enteral and Parenteral nutrition (MC with TPN)* Lab values: Hypophosphatemia, Hypocalcemia, Hypomagnesemia(Mneumonic-CPM Low)* Risk factors: Alcohol, Severe malnutrition, Anorexia, Prolonged fasting* Treatment: Avoid Overfeeding* Deliver calories slowly* Electrolyte imbalance needs to corrected